Among the following, which one is not a good dietary source of iron –
1. Liver
2. Jaggery
3. Fish
4. Milk

Correct answer: 4. Milk